"Founder effect" describes the distribution of diseases on the basis of
1. Occupation
2. Environment
3. Genetics
4. All of the above

Correct answer: 3. Genetics

Explanation: Ans. c (Genetics) (Ref. Park PSM 22nd/, p 680)GENETIC DRIFT AND FOUNDER PSEEE&# Founder effect refers to loss of genetic variation when a new colony is established by a very small number of individuals from a large population like antigenic drifting.# When people migrate to new regions, they may develop "new" disease or express "old" disease at higher frequencies.# This phenomenon reflects either new experiences or old genes expressed at altered frequencies in the settlers and the number of susceptible persons in the newly resident population after migration of "founder" depends on number of incoming mutant genes borne by the founders and the factors that favor their spread through the population.HARD Y-WEINBERG LAW# Concerns with population genetics.# It states that "the relative frequency of each gene allele tends to remain constant from generation to generation" in the absence of forces that change the gene frequencies.# Thus it assumes that human population is static.# But in reality, human population and gene pool is never static due to mutation, natural selection, population movements, breeding structures and public health measures.CHANGING GENE FREQUENCIESA rise in frequency of a particular phenotype (due to changing gene frequncies), may be cuased by one or more following5 factors, which disturb the Hardy-Weinberg equilibrium:# Non-random mating# Selection# Mutation# Heterozygote advantage# Genetic drift and "founder" effect.